All of the following are parts of cognitive behaviour change technique except
1. Pre-Contemplatation
2. Action
3. Consolidation
4. Contemplation

Correct answer: 3. Consolidation

Explanation: 1: the act or process of consolidating: the state of being consolidated

2: the process of uniting: the quality or state of being united; specifically: the unification of two or more corporations by dissolution of existing ones and creation of a single new corporation

3: pathological alteration of lung tissue from an aerated condition to one of solid consistency

4: the process by which a new memory is converted into a form that is stable and long-lasting